Intake of high protein diet causes?
1. Increased gluconeogenesis
2. Increased beta oxidation
3. Decreased glycogenolysis
4. Metabolic alkalosis

Correct answer: 1. Increased gluconeogenesis

Explanation: Ans. is 'a' i.e., Increased gluconeogenesis High protein diet is generally recommended for weight loss.High protein diet is found to increase the rate of gluconeogenesis. Glucogenic aminoacids in circulation is found to stimulate glucagon release.Glucagon stimulates Phosphoenol pyruvate carboxykinase and glucose 6 phosphatase. This way blood glucose is increased and this high blood glucose also has a satiation effect.High protein diet also stimulates glycogenolysis because of its effect on glucagon release.